Sylvian point is related to ?
1. Squamous part
2. Petrous part
3. Tympanic part
4. Mastoid part

Correct answer: 1. Squamous part

Explanation: Ans. is 'a' i.e., Squamous part The pterion is situated in the floor of temporal fossa. It is an H-shaped suture, where four bones meet each other :? i) Greater wing of sphenoid ii) Squamous temporal iii) Frontal iv) Anterioinferior angle of parietal Central point of pterion is known as Sylvian point. the cranium is very thin " at this point. Its immediate deep relations are frontal branch of middle meningeal artery, its accompanying vein and stem of lateral sulcus of brain. Fracture at this point may injure middle meningeal artery or/and vein and give rise to extradural hemorrhage.